Pneumocystic carnii infects:
1. Human
2. Monkey
3. Rat
4. Cats

Correct answer: 3. Rat

Explanation: Ans. c. Rat